Without breast feeding the first menstrual usually begins - weeks after delivery :
1. 2-4 weeks
2. 4-6 weeks
3. 6-8 weeks
4. 8-10 weeks

Correct answer: 3. 6-8 weeks

Explanation: 6-8 weeks